Which of the following represents the mechanism of action of Eternacept?
1. Blocking tumor necrosis factor
2. Blocking bradykinin synthesis
3. Blocking cyclo-oxygenase-2
4. Blocking lipoxygenase

Correct answer: 1. Blocking tumor necrosis factor

Explanation: Etanercept is a fusion protein of TNFRII and the Fc region of IgG1, that binds to TNF and prevent the molecule from interacting with its two receptors, TNFRI and TNFRII, thereby stopping signaling events. TNF is involved in inflammatory and immune responses. Etanercept can also modulate biologic responses regulated by TNF. Ref: Handbook of Dermatologic Drug Therapy By Steven R. Feldma, Page 76